Which cancer develops in chronic ulcer -
1. Malignant melanoma
2. Basal cell CA
3. Squamous cell CA
4. Kaposi sarcoma

Correct answer: 3. Squamous cell CA

Explanation: Ans. is 'c' i.e., Squamous cell CA Squamous cell carcinomao Associated with chronic inflammation,o Invariably ulcerated lesion,o Metastasis in 2% cases.